In the grading of trachoma, trachomatous inflammation -follicular is defined as the presence of
1. 5 or more follicles in the lower tarsal conjunctiva
2. 3 or more follicles in the lower tarsal conjunctiva
3. 5 or more follicles in the upper tarsal conjunctiva
4. 3 or more follicles in the upper tarsal conjunctiva

Correct answer: 3. 5 or more follicles in the upper tarsal conjunctiva

Explanation: C i.e. Five or more follicles in the upper tarsal conjunctiva WHO's "FISTO" Classification of Trachoma F Trachomatous * 5 or more follicles each of at least 0.5 mm * Implies active disease which needs Follicles diameter present on upper tarsal conjutivaQ treatment * Deep tarsal vessels should be visible through the follicles & papillae * If properly treated recovery occurs with no or minimal scarring I Trachomatos * Due to intense inflamation follicles & papillae are * Implies severe infection with high risk Intense so numerous & inflamed that more than 50% of palpebral conjuctival blood vessels can not be seen clearlyQ of complications * Needs urgent treatment S Trachomatous Scarring * Tarsal conjuctival cicatrization with white fibrous bands * Old, now inactive infection T Trachomatous * At least one eyelash rubs the eyeball * Needs corrective surgery Trichiasis * Evidence of recent removal of inturned eyelash 0 Trachomatous * Corneal opacity covering part of pupillary region * Cause significant visual loss (< 6/18) Opacities